Calcification in basal ganglia is seen in
1. Hypothyroidism
2. Hypoparathyroidism
3. Hypopituitarism
4. Hypoaldosteronism

Correct answer: 2. Hypoparathyroidism

Explanation: Ans. Hypoparathyroidism